Why is Sugar added in ORS?
1. Enhance acceptability
2. Enhance salt absorption
3. Enhance shelf life
4. Enhance taste

Correct answer: 2. Enhance salt absorption

Explanation: Adding sugar to ORS, enhances absorption of salt & water. Sugar in the ORS has found to have sym- transporter mechanism with sodium. Composition Weight Osmolar concentration (mmol/litre) Sodium chloride 2.6 gm Sodium 75 Potassium chloride 1.5 gm Potassium 20 Sodium citrate 2.9 gm Chloride 65 Glucose,anhydrous 13.5 gm Citrate 10 Glucose,anhydrous 75 Total 20.5 gms Total 245 EXTRA-EDGE: ReSoMAL: Rehydration solution for MALnourished Sodium - halved to 45 mmol/L ; Potassium - Doubled to 40 mmol /L SUPER ORS: Rice /starch/ Alanine based